Synonymous of pugilistic attitude is ?
1. Defence attitude
2. Assault attitude
3. Bow string attitude
4. Bayonet attitude

Correct answer: 1. Defence attitude

Explanation: Ans. is 'a' i.e., Defence attitude